A 2 years old female was brought to PHC with a history of cough & fever for 4 days with inability to drink for last 12 hours. On examination, the child was having weight of 5 kg and respiratory rate of 45/minutes with fever. The child will be classified as suffering from -
1. Very severe disease
2. Severe Pneumonia
3. Pneumonia
4. No pneumonia

Correct answer: 1. Very severe disease

Explanation: Very severe disease Inability to feed and severe malnutrition (weight 5 kg at 2 years of age ) makes the child as having very severe pneumonia. Reference:Park's textbook of preventive and social medicine,K.Park,23rd edition,page no:170-171.